Which of the following drugs is used for Narcoanalysis:
1. Atropine
2. Phenobarbitone
3. Scopolamine
4. Pethidine

Correct answer: 3. Scopolamine

Explanation: C i.e. Scopolamine Scopolamine and sodium pentothal /amytal / or seconalQ can be used for narcoanalysis.